A mother of a 5 year old boy feels that he is too tall for his age & she brought him to hospital for evaluation. O/e his height was 108 cm and upper segment to lower segment ratio 1.2 : 1.What would be your advice to the mother?
1. Order for karyotyping
2. Reassure parents
3. Echocardiography to rule out Marfan syndrome
4. Ophthalmological examination & homocysteine lev

Correct answer: 2. Reassure parents

Explanation: In this case scenario, the 1st step is to interpret the anthropometric measurement For s 5 year old boy, expected height = (6x + 77) cm i.e. 6 x 5 + 77 = 107 cm Upper Segment To Lower Segment Ratio Age Normal US:LS Ratio At birth 1.7 - 1.9:1 3 yr 1.3:1 7 - 10 yr 1:1 Impression: the measured anthropometric parameters were normal for his age. Note: We may plot the height on growth charts to check whether it is normal or not. Important causes of tall stature Normal variant, familial, or constitutional Exogenous obesity: Tall stature in childhood but adult height is normal. Marfan syndrome: Arachnodactyly, increased arm span & decreased upper body:lower body segment ratio Klinefelter syndrome: Learning disabilities, gynecomastia, and decreased upper :lower segment ratio. XYY syndrome: Severe acne, learning disabilities, and behavioral problems, Sotos syndrome: LFD, increased head size, accelerated growth rate for the first 4-5 yr and then returns to a normal. Adult height is usually upper-normal.